Clinical features of Conus Medullaris syndrome include all of the following, except:
1. Plantar extensor
2. Absent knee and ankle jerks
3. Sacral anesthesia
4. Lower sacral and coccygeal involvement

Correct answer: 2. Absent knee and ankle jerks

Explanation: In conus medullaris syndrome knee jerks are preserved while the ankle jerks are affected. It is an important feature differentiating it with cauda equina syndrome. Ref: Harrison's Principles of Internal Medicine, 16th Edition, Pages 2439-40; Neurology Oral Boards Review: A Concise and Systematic Approach to Clinical Practice By Eroboghene E. Ubogu, Page 46